Which of the following statements about prasugrel is true as compared to clopidogrel?
1. It is slower acting than clopidogrel
2. Due to higher risk of bleeding, prasugrel is contraindicated in stroke
3. It is reversible antagonist of ADP receptors
4. It is effective orally unlike clopidogrel

Correct answer: 2. Due to higher risk of bleeding, prasugrel is contraindicated in stroke

Explanation: Ans. (B) Due to higher risk of bleeding, prasugrel is contraindicated in stroke(Ref: CMDT 2018/e 374, KDT 8/e 679)Prasugrel is irreversible antagonist of ADP receptors like clopidogrel.Prasugrel is more potent and faster acting than clopidogrelBoth clopidogrel and prasugrel are given orally.Prasugrel has higher risk of intracranial bleeding in patients with TIA and stroke and is thus contraindicated.